Which of the following method is used for HIV pre-test and post-test counselling?
1. Individual approach
2. Group approach
3. Mass media
4. All of the above

Correct answer: 1. Individual approach

Explanation: In HIV the patient has to visit ICTC (Integrated Counselling and Testing Centre); Where a private counselling session is done. It holds valid for both pre-test and post-test counselling.